Which of the following does not show iceberg phenomenon -
1. Rabies
2. Polio
3. JE
4. Mumps

Correct answer: 1. Rabies

Explanation: Ans. is 'a1 i.e., Rabieso Iceberg phenomenon of disease is not shown by rabies, tetanus and measles.Iceberg of diseaseo Disease in a community may be compared with an iceberg.o The floating tip of the iceberg represents what the physian sees in the community, i.e., clinical cases (Diagnosed case, symptomatic case or clinically apparent case).o The vast submerged portion of the iceberg represents the hidden mass of disease, i.e. latent, inapparent, presymptomatic and undiagnosed cases and carriers in the community,o The "waterline" represents the demarcation between apparent and inapparent disease,o Epidemiologist is concerned with Hidden portion of iceberg whereas clinician is concerned with tip of iceberg.o Screening is done for Hidden portion of iceberg whereas diagnosis is done for tip of iceberg,o Iceberg phenomenon of disease is not shown by rabies, tetanus and measles.o The clinician concerned only with the tip of iceberg, i.e symptomatic cases that are seen in clinical treatment, this can result in inaccurate view of the nature and causes of a disease results because the minority of the cases are studied (hidden cases submerged portion of ice berg is not studied) - Clinician's Fallacy.o Diseases with a great deal of subciinicai infection (therefore have iceberg phenomenon) arei) Rubellaiii) Poliov) Japanese encephalitisvii) Influenzaii) Mumpsiv) Hepatitis A and Bvi) Diphtheria